Ipsilateral supraclavicular lymph nodes are positive in a patient of Ca Breast. Stage is:
1. II
2. III B
3. III C
4. IV

Correct answer: 3. III C